Yoyo reflex is seen in:
1. Duplication of ureter
2. Polycystic Kidney
3. Melluary sponge kidney
4. Pseudo Kidney

Correct answer: 1. Duplication of ureter

Explanation: Ans. (a) Duplication of ureterRef Internet sources* Yo-Yo Reflex is seen in duplicated system of ureter* The ectopic ureter joins the normal ureter and may cause obstruction or reflex. This is known as Yo-Yo reflex